Under Blood safety programme compulsory tests done are all except ?
1. HIV
2. VDRL
3. Malaria
4. Hepatitis E

Correct answer: 4. Hepatitis E

Explanation: Ans. is 'd' i.e., Hepatitis E Blood safety :? Under Blood Safety Programme all the blood banks have to ensure that before transfusion of blood to the patient the mandatory tests for HIV, VDRL, Hepatitis B, Hepatitis C and Malaria are done.